Which of these amino acids will migrate slowest to the anode end at the physiological pH?
1. Aspartic acid
2. Glycine
3. Lysine
4. Valine

Correct answer: 3. Lysine

Explanation: At physiological pH basic aminoacid (positive charged a.a) will move slowest towards anode (positively charged electrode).Basic amino acids are: Arginine (Most basic), Lysine and Histidine (Weakly basic)